Which of the following types of pancreatitis has the best prognosis -
1. Alcoholic pancreatitis
2. Gall stone pancreatitis
3. Post operative pancreatitis
4. Idiopathic pancreatitis

Correct answer: 2. Gall stone pancreatitis

Explanation: The prognosis is best in patients where pancreatitis is caused by a remediable cause such as cholelithiasis. `Eradication of gall stone disease' prevents further attacks of pancreatitis - Ref : Oxford textbooks of surgery 2nd/e p. 1766